Axillary nerve is a branch of which part of brachial plexus ?
1. Trunk
2. Medial cord
3. Lateral cord
4. Posterior cord

Correct answer: 4. Posterior cord

Explanation: Supraclavicular branches of brachial plexus Branches of brachial plexus which are above the clavicle are called supraclavicular branches. These arise from roots and trunks.